The period of training for a village health guide is –
1. 1 month
2. 3 months
3. 6 months
4. 12 months

Correct answer: 2. 3 months

Explanation: Training

After selection, the health guides undergo a short training in Primary health care at nearest PHC or sub centre.
Training is for the duration of 200 hours, spread over a period of three months.
During the training period they receive a stipend of Rs. 200 per months.
Work
They are expected to do community health work in their spare time of about 2 to 3 hours daily.
For this they are paid on honorarium of Rs. 50 per month and drugs worth Rs. 600 per annum.
The Government will not train another health guide from the same village before three years.
The national target is to achieve one health guide for each village or 1000 rural population.